IgE is secreted by -
1. Mast cell
2. Basophils
3. Eosinophils
4. Plasma cells

Correct answer: 4. Plasma cells

Explanation: IgE is synthesised by plasma cells. Monomers of IgE consist of two heavy chains (e chain) and two light chains, with the e chain containing 4 Ig-like constant domains Reff: Ananthanarayanan & Panikers textbook of microbiology 9th edition pg:136